Which of the following is not a Limb Girdle Dystrophy
1. Sarcoglycan dystrophy
2. Dystrophin dystrophy
3. Dysferlin dystrophy
4. Calpain dystrophy

Correct answer: 2. Dystrophin dystrophy

Explanation: Answer is B (Dystrophin dystrophy) Calpain - Sarcoglycans (y,a,fl and y) and dysferlin are all examples of defective gene / locus in Limb girdle dystrophies. Dystrophin is associated with Duchenne's and Becker's type of muscular dystrophics and is not associated with Limb girdle dystrophies. The Limb girdle muscular dystrophies (LGMD) typically manifest with progressive weakness of pelvic and shoulder girdle musculature. Respiratory insufficiency from weakness of diaphragm and cardiomyopathy may occur. However unlike Duchenne dystrophies (Dystrophin) intellectual function remains intact. - Harrison